A boy fell down from a tree and has fracture of neck of humerus. He cannot raise his arm because of the involvement of:
1. Axillary nerve
2. Supraspinatus nerve
3. Musculocutaneus nerve
4. Radial nerve

Correct answer: 1. Axillary nerve

Explanation: A i.e. Axillary nerve Axillary Nerve (C5C6) Motor supply - Deltoid (causing shoulder abduction) Q - Teres minorQ (laterally rotate the arm & stabilizes the shoulder joint) Sensory supply Skin over lower half of deltoid by upper lateral cutaneous nerve of armQ